Which of the following is not true of non depolarizing skeletal muscle relaxants?
1. Causes histamine release
2. Hypothermia prolongs their effect
3. Fasciculations of muscle
4. Ganglion blockade

Correct answer: 3. Fasciculations of muscle

Explanation: Fasciculations are shown by depolarizing muscle relaxants. These agents do not cause hypothermia but their effect may be prolonged in hypothermia. KD Tripathi 8th ed.